Diabetes Mellitus diagnosed when
1. Fasting blood glucose is 100 and post prandial 140
2. Fasting blood sugar 125 and 2 hour postprandial blood sugar is 199
3. Insulin level
4. HbA1c > 6.5%

Correct answer: 4. HbA1c > 6.5%